Most abundant collagen in bone is:
1. Type I
2. Type II
3. Type III
4. Type IV

Correct answer: 1. Type I

Explanation: Ans: a (Type I) Ref: Robbins, 7th ed, p. 1275; Harper, 27th ed, p. 546The proteins of bone include Type I collagen and a family of non collagenous proteins derived mainly from osteoblasts. Type I collagen forms the backbone of the matrix and accounts for 90% of total weight of the organic component.Types of collagenThere are around 19 types of collagen.Type I: Found in most connective tissue including bone.Type II: Cartilage, vitreous.Type III: Skin, lung, blood vessels.Type IV: Basement membrane.Regarding the other types.Type V, XII -Seen in bones.Type IX, XI- In cartilage.